While using EDTA and NaOCl what should be the sequence of irrigation i) Normal Saline II) NaOCl iii) EDTA
1. i>ii>iii
2. ii>i>iii
3. iii>i>ii
4. iii>ii>i

Correct answer: 2. ii>i>iii